General visceral fibres do not supply :
1. Smooth muscles
2. Skeletal muscles
3. Cardiac muscles
4. Glands

Correct answer: 2. Skeletal muscles

Explanation: General visceral efferents (GVE) includes the fibres under autonomic nervous system which control three effectors : cardiac muscle smooth muscles Glands Skeletal muscles are supplied by general somatic efferent(GSE).